Most common cause of maternal mortality
1. Postpartum hemorrhage
2. Abortion
3. Infection
4. Eclampsia

Correct answer: 1. Postpartum hemorrhage

Explanation: Ref:Park's Text book of Preventive and Social Medicine 25th ed